Indication of fecal contamination of water is due to presence of all, EXCEPT:
1. Enterococci
2. Coliform
3. E.coli
4. Clostridium difficile

Correct answer: 4. Clostridium difficile

Explanation: The primary bacterial indicator recommended for this purpose is the coliform group of organism. Supplementary indicator organisms are: Fecal group: E.coli, Fecal streptococci and sulphite reducing bacteria Non Fecal group: Klebsiella aerogenes. Clostridium perfringens: The spores are capable of surviving in water for a longer time than organism of the coliform group & usually resistant chlorination. Ref: Park, 20th Edition, Page 630